Drug used for midtrimester abortion is -
1. Mifepristone
2. Atosiban
3. Valethamate
4. Methotrexate

Correct answer: 1. Mifepristone

Explanation: Ans. is 'a' i.e., Mifepristone Mid trimester Termination of Pregnancy:A) Medical Methods: o Prostaglandins:a) Misoprostol (PGE1 analogue) with or without Mifepristone.b) Gemeprost(PGEl analogue)c) Dinoprostone (PGE2 analogue)d) Carboprost (PGF2 alpha)o Oxytocin : High dose oxytocin is used as a single agent for second trimester abortion.B) Surgical methods:i) Between 13 -15 weeks :# Dilatation and Evacuation :o Intracervical tent (laminaria osmotic dilator), mifepristone or misoprostol are used as cervical priming agents.ii) Between 16-20 weeks :# Intra - amniotic instillation of hypertonic saline : Amount of saline = weeks of gestation x 10 ml.# Intra - amniotic instillation of hyperosmotic urea: intra - amniotic instillation of 40% urea solution (80 gm of urea in 200 ml of distilled water).# Extra - amniotic instillation of 01% ethacrydine lactate - done trancervically through No. 16 Foley's catheter.